Which statement about the popliteal fossa is not true ?
1. Bounded superiolaterally by Biceps femoris
2. Contains popliteal artery as deepest structure
3. Usually the sciatic nerve doesn't bifurcate
4. Contains the bifurcation of sciatic nerve

Correct answer: 3. Usually the sciatic nerve doesn't bifurcate

Explanation: The sciatic nerve divides into tibial and common peroneal nerve. Popliteal artery lies deep in the fossa The popliteal vein is superficial with the nervous structures superficial to the vein. Ref: Gray's Anatomy The Anatomical Basics of Clinical Practice 41 e pg 1382.